Which of the following is a Live vaccine -
1. Salk polio vaccine
2. HDCV
3. Hepatitis B vaccine
4. 17-D Vaccine

Correct answer: 4. 17-D Vaccine

Explanation: Ans. is 'd' i.e., 17-D vaccine